Contraction of endothelial cytoskeleton in acute inflammation leads to
1. Delayed transient increase in permeability
2. Early transient increase in permeability
3. Delayed permanent increase in permeability
4. Early permanent increase in permeability

Correct answer: 2. Early transient increase in permeability

Explanation: Increased vascular permeability is the hallmark of acute inflammation.

Remember

Early transient increase is due to = Endothelial cell contraction
Delayed transient increase in permeability is due to = Direct endothelial injury
Delayed permanent increase Endothelial cell retraction is due to = endothelial cell damage